In which of the following the serum C3 not persistently low?
1. Poststreptococcal glomerulonepheritis
2. Membranoproliferative glomerulonephritis
3. Lupus nephritis
4. Glomerulonephritjis related to bacterial endocarditis

Correct answer: 1. Poststreptococcal glomerulonepheritis

Explanation: SerumC3 levels are persistently low in membranoproliferative GN, lupus nephritis, and glomerulonephritis related to infective endocarditis. Poststreptoccal glomerulonephritis: SerumC3 Levelsaredepressed within2weeksinalmost90%ofcases.However,C3 levelsreturntonormal within6to 8weeks. Persistentlydepressedlevelsaftehisperiodshouldsuggestanothercausesuchas C3 nephriticfactor (membranoprolif-erativeglomerulonephritis)